A hyperemic edema of the larynx and epiglottis that rapidly leads to respiratory obstruction in young children is most likely to be caused by
1. K. pneumoniae
2. M. pneumoniae
3. Neisseria meningitidis
4. H. influenzae

Correct answer: 4. H. influenzae

Explanation: Haemophilus influenzae is a Gram-negative bacillus. In young children, it can cause pneumonitis, sinusitis, otitis, and meningitis. Occasionally, it produces a fulminative laryngotracheitis with such severe swelling of the epiglottis that tracheostomy becomes necessary. Clinical infections with this organism after the age of 3 years are less frequent.